Tensile strength of wound becomes normal after:
1. 6 weeks
2. Never
3. 4 months
4. 6 months

Correct answer: 2. Never

Explanation: Ans. (b) Never* At the end of the 1st week wound strength is approximately 10%.* Strength increases rapidly over next 4 weeks and about 70- 80% at 3 months.* At 70-80% there is plateau and the original tensile strength cannot be obtained ever.